Mandibular 1st molar has:
1. 2 roots and 2 canals
2. 2 roots and 3 canals
3. 3 roots and 3 canals
4. 3 roots and 4 canals

Correct answer: 2. 2 roots and 3 canals